All the following drugs are used to prevent relapse and maintain abstinence in cases of alcohol withdrawal except -
1. Disulfiram
2. Acamprosate
3. Naltrexone
4. Propranolol

Correct answer: 4. Propranolol

Explanation: Ans. is 'd' i.e., Propranolol Drugs used for alcohol dependence to prevent relapse are:o Naltrexaneo Nalmefeneo Acamprosateo Disulfiramo Ondansetrono Topiramate